Any loss or abnormality of psychological, physiological or anatomical structure or function is known as
1. Disease
2. Disability
3. Impairment
4. Handicap

Correct answer: 3. Impairment

Explanation: Impairment - Any loss or abnormality of psychological, physiological or anatomical structure or function. Disability - Any restriction or lack of ability to perform an activity in the manner or within the range considered normal for a human being. Handicap - A disadvantage for a given individual resulting from an impairment or a disability, that limits or prevents the fulfillment of a role that is normal (depending on the age, sex, and social and cultural factors) for that individual. Ref: Park's Textbook of Preventive and Social Medicine,24th edition,Page no. 48